Most common cause of Congenital hypothyroidism is
1. Thyroid agenesis
2. Thyroid dysharmonogenesis
3. Thyroid dysgensis
4. Iodine deficiency

Correct answer: 3. Thyroid dysgensis

Explanation: Most common cause of congenital hypothyroidism is thyroid dygenesis > thyroid dysharmonogenesis.